All are true about delivery of placenta in third stage of labour, EXCEPT?
1. Separation of placenta always manifests as revealed bleeding PV and is most specific sign
2. Lengthening of cord is a sign of placental separation
3. Fundus of uterus must be palpated after placental delivery to rule out atonicity
4. Placenta accreta may be a cause for retained placenta

Correct answer: 1. Separation of placenta always manifests as revealed bleeding PV and is most specific sign

Explanation: Signs of placental separation Permanent lengthening of cord Suprapubic bulge: most specific Sudden gush of blood. This may be absent in case of central separation of placenta Uterine fundus must be palpated to see if uterus is well contracted, if not, fundal massage and uterotonic must be given. An adherent placenta such as accreta or increta may lead to uterine inversion while attempting to pull the placenta out.